IPC 141 is for ?
1. Causing hurt by poison
2. Unlawful assembly
3. Abetment of suicide
4. Abandoning a child

Correct answer: 2. Unlawful assembly

Explanation: Ans. is 'b' i.e., Unlawful assemblySection 141 of IPC is for Unlawful assembly (An assembly of five or more persons)Section 142 - Being a member of unlawful assemblySection 143 - Punishment for unlawful assembly